HIV window period indicates :
1. time period between infection and onset of first symptoms
2. time period between infection and detection antibodies
3. time period between infection and minimum multiplication of organism
4. time period between infection and maximum multiplication

Correct answer: 2. time period between infection and detection antibodies

Explanation: it takes 2-8 weeks to months for antibodies to appear in hiv infection the period is called window period or seronegative infective stage during this period individual is highly infectious hiv infection can be detected during this period by p24 antigen assay and pcr ref : ananthanaryana 9th ed